Most sensitive test for diagnosing asymptomatic chlamydia infection is:
1. Tissue culture
2. Nucleic acid amplification
3. Serology
4. Serum electrophoresis

Correct answer: 2. Nucleic acid amplification

Explanation: Ans. is 'b' i.e., Nucleic acid amplificationRef: Harrison, 19th/e, p. 1165 and Ananthanarayan, 9th/e, p. 415NAAT (Nucleic acid amplification test) - PCR, LCR (Ligase Chain Reaction).Most sensitive test in cervical C. trachomatis.